Perception of normal (non-painful) sensory stimuli, as painful is called
1. Hyperalgesia
2. Allodynia
3. Hyperpathia
4. Causalgia

Correct answer: 2. Allodynia

Explanation: More pain is felt to a little painful stimulus- Hyperalgesia
 
Pain is felt to a non painful stimulus- Allodynia